Vossius ring occurs in
1. Lens dislocation
2. Concussion injury
3. Penetrating injury
4. Extra capsular extraction

Correct answer: 2. Concussion injury

Explanation: B i.e. Concussion injury